A 46-year-old male , an IV drug abuser presents to OPD with complaints of fatigue, malaise and rigors. His temperature was 38.5degC, pulse -84/min, BP- 130/80 mm Hg .On cardiovascular examination , pan-systolic murmur was heard , loudest at the left sternal border. 3 sets of blood cultures were taken consecutively . Transthoracic echocardiography (TTE) was done , which revealed vegetation on the tricuspid valve with TR.From the given history , which organism is most likely to be positive in blood cultures?
1. Streptococcus sanguis
2. Enterococcus faecium
3. Coxiella burnetii
4. Staphylococcusaureus

Correct answer: 4. Staphylococcusaureus

Explanation: From the given history - Probable diagnosis is Infective endocarditis * H/o IV drug abuse - most common organism- Staphylococcus aureus- Culture positive endocarditis. Most common organism in IV drug abusers causing Infective Endocarditis Overall Staphylococcus aureus Right side of Heart Staphylococcus aureus Left side of Heart Enterococcus faecium Single +ve blood culture for Coxiella Burnetii is considered a major criteria for diagnosis of IE. Culture negative endocarditis- HACEK group.